Amobarbital inhibit electron transport
1. Complex I
2. Complex II
3. Complex III
4. Complex IV

Correct answer: 1. Complex I

Explanation: Barbiturates such as amobarbital inhibit electron transport Complex I by blocking the transfer from Fe-S to Q. At sufficient dosage, they are fatal in vivo. Reference: Harper; 30th edition; Page no: 132